Which of the following malignancy is seen in male child with short stature, low IQ, murmur in pulmonary area and lymphedema?
1. Retinobalstoma
2. Hepatocellular carcinoma
3. Juvenile myelomonocytic leukemia
4. Germ cell tumour

Correct answer: 3. Juvenile myelomonocytic leukemia

Explanation: Male child with short stature, low IQ, murmur in pulmonary area and lymphedema suggests Noonan syndrome with pulmonary valve stenosis. Hematological abnormality seen in Noonan syndrome is Juvenile Myelomonocytic Leukemia